MC heart disease associated with pregnancy:
1. Mitral stenosis
2. Mitral regurgitation
3. Patent ductus arteriosus
4. TOF

Correct answer: 1. Mitral stenosis

Explanation: Most common heart disease seen in pregnancy is Rheumatic heart disease and the most common lesion is MITRAL STENOSIS.